Not a direct effect of Ach
1. Decrease BP
2. Increase contraction of heart
3. Decrease heart rate
4. Decrease conduction

Correct answer: 2. Increase contraction of heart

Explanation: Contractility increase is not a direct effect of Ach.Reference: Ganong review of medical physiology 23rd edition Page no: 263